The pigment associated with hemochromatosis is
1. Bilirubin
2. Haemosiderin
3. Methernoglobin
4. myoglobin

Correct answer: 2. Haemosiderin